Topical sodium cromoglycate is useful in the treatment of which of the following conditions?
1. Trachoma
2. Anterior uveitis
3. Phlyctenular conjunctivitis
4. Vernal keratoconjunctivitis

Correct answer: 4. Vernal keratoconjunctivitis

Explanation: Vernal keratoconjunctivitis / spring catarrh is a recurrent, bilateral conjunctivitis occurring in young boys during summer. Clinical features: Burning, itching, lacrimation, photophobia, white ropy secretion. Palpebral from: Cobble stone papillae in upper palpebral conjunctiva Limbal form: Opacification, gelatinous thickening at limbus. Horner - trantas dots (consisting of eosinophils & epithelial debris) are characteristic. Treatment: Topical mast cell stabilizers like Disodium chromoglycate, Olapatidine, topical steroids, cold compress. Ref: Parsons' 21st / pg. 178.